Erb's point is at the junction of -
1. C5, 6
2. C6, 7
3. C7, 8
4. C8, T1

Correct answer: 1. C5, 6

Explanation: Erb’s point is in upper trunk (C5,C6). Injury here causes Erb’s paralysis.
Klumpke’s paralysis is due to injury at C8,T1.